Mark the true statement regarding Carcinoma of the bladder:
1. Is primarily of squamous cell origin.
2. Is preferentially treated by radiation.
3. May be treated conservatively by use of intravesical agents even if it invades the bladder muscle.
4. May mimic an acute UTI with irritability and hematuria.

Correct answer: 4. May mimic an acute UTI with irritability and hematuria.

Explanation: Carcinoma of the bladder Transitional cell origin, arising from the transitional epithelium that lines the bladder. It may be confused with an acute UTI by producing urgency, frequency, and hematuria. Rx Tumor is intraepithelial in origin and no invasion through the basement membrane- Treat conservatively using intravesical agents if the Neither radiation nor chemotherapy is the treatment of choice for disease that invades the muscle of the bladder. Partial cystectomy may be chosen only when the disease is focal and there are no mucosal changes in other parts of the bladder.